Spermatogenesis occurs properly at which temperature
1. Slightly higher than body temperature
2. Equal tq body temperature
3. Slightly-lower than body temperature
4. At any temperature closer to body temperature

Correct answer: 3. Slightly-lower than body temperature

Explanation: Spermatogenesis requires a temperature lower than the body temperature.ie,32-34 degree C.(Ref. Textbook of physiology N Geetha 2nd edition page no.460)